Superficial inguinal ring is deficient of
1. External oblique abdominis
2. Internal oblique abdominis
3. External oblique aponeurosis
4. Internal oblique aponeurosis

Correct answer: 3. External oblique aponeurosis

Explanation: It is a triangular opening that forms the exit of the inguinal canal, which houses the ilioinguinal nerve, the genital branch of the genitofemoral nerve, and the spermatic cord (in men) or the round ligament (in women). At the other end of the canal, the deep inguinal ring forms the entrance. ref - BDC 6e vol2